All intrinsic muscles of larynx except cricothyroid are supplied by which nerve?
1. Superior laryngeal nerve
2. Recurrent Laryngeal Nerve
3. External Laryngeal Nerve
4. Vagus

Correct answer: 2. Recurrent Laryngeal Nerve

Explanation: Ans. is 'b' i.e., Recurrent laryngeal nerve * All the muscles which move the vocal cord (abductors, adductors or tensors) are supplied by the recurrent laryngeal nerve except the cricothyroid muscle.